All are contents of broad ligament, EXCEPT:
1. Ovary
2. Ovarian ligament
3. Round ligament
4. Fallopian tube

Correct answer: 1. Ovary

Explanation: A. i.e. OvaryBroad ligament contains suspensory ligament of ovary but not ovaryQ